All of the following are false regarding vascular leakage in acute inflammation, except:
1. Chemical mediators such as histamine play a role in delayed vascular leakage.
2. Hallmark of acute inflammation is an increased permeability in the post-capillary venules.
3. Transcytosis is not a contributing factor to vascular leakage.
4. In most cases, vascular leakage starts several hours after injury.

Correct answer: 2. Hallmark of acute inflammation is an increased permeability in the post-capillary venules.

Explanation: Several mechanisms are responsible for the increased permeability of postcapillary venules, a hallmark of acute inflammation. Chemical mediators such as histamine, bradykinin, leukotrienes, elicit endothelial cell contraction which is the immediate transient response. This results in increased interendothelial spaces - the most common mechanism of vascular leakage. In most instances, leakage starts immediately after injury and is sustained for several hours until the damaged vessels are thrombosed or repaired. Increased transport of fluids and proteins through the endothelial cell, called transcytosis, also contributes to vascular leakage.